Which of the following statements about pneumococcus is false
1. Capsule aid in virulence
2. Commonest cause of otitis media
3. Causes mild form of meningitis
4. Respiratory tract of carriers is the most impoatnt source of infection

Correct answer: 3. Causes mild form of meningitis

Explanation: Meningitis is the most serious of pneumococcal infections. It is usually secondary to other pneumococcal infections such as pneumonia, otitis media, sinusitis or conjunctivitis. Pneumococcal meningitis occurs at all ages. Untreated cases are almost invariably fatal. Even with antibiotic therapy, the case fatality rate is about 25% Reference: Textbook of Microbiology; Anathanarayan and panicker's; 10th edition; Page no: 227